Leydig cells secret-
1. Testosterone
2. DHT
3. DHEA
4. All of the above

Correct answer: 4. All of the above

Explanation: Ans. is 'd' i.e., All of the above * Leydig cells have receptors for LH and secrete androgens, i.e. Testosterone, dihydrotestosterone (DHT), androstenedione, and dehydroepiandrosterone (DHEA).* Sertoli cells have receptors for FSH and secrete ABP, inhibin and MIS. sertoli cells also have receptor for testosterone.